Systemic military TB occurs when spread occurs ?
1. Arterial
2. Venous
3. Lymphatic
4. Direct dissemination

Correct answer: 1. Arterial

Explanation: Ans. is 'a' i.e., ArterialSystemic miliary tuberculosis occurs when tubercle bacteria disseminate through the systemic arterial system. Miliarytuberculosis is most prominent in the liver, bone marrow, spleen, adrenals, meninges, kidneys, fallopian tubes, and epi- didymis, but could involve any organ.Miliary pulmonary disease occurs when organisms draining through lymphatics enter the venous blood and circulate back to the lung.